In SDS-PAGE (Sodium Dodecyl Sulfate-Polyacrylamide Gel Electrophoresis) proteins are separated on basis of:
1. Mass
2. Charge
3. Density
4. None

Correct answer: 1. Mass

Explanation: A i.e. Mass